What age does the phallic/ oedipal stage of Freud theory correspond to
1. 0-1 yr
2. 3-6 yrs
3. 2-3 yrs
4. 6-12 yrs

Correct answer: 2. 3-6 yrs

Explanation: Freudian theory is the idea of body centred drives.It corresponds to the following stages. Oral stage-( birth to 18 months) Anal stage-(18months to 3 yrs) Phallic stage( 3-6 yrs) Latency stage(6yrs- puberty) Genitals stage( 12yrs and above) Ref: Nelson's 20th edition- Page 52.